7th Pandemic of cholera was caused by -
1. El Tor
2. 0139 V. cholerae
3. Classical V. cholerae
4. V mimicus

Correct answer: 1. El Tor

Explanation: Ans. is `a' i.e., El Tor